Which of the following drugs can cause lipodystrophy?
1. Atorvastatin
2. Probucol
3. Saquinavir
4. Gentamicin

Correct answer: 3. Saquinavir

Explanation: Ans. (C) Saquinavir(Ref: Goodman & Gilman 11th/e p1301)All protease inhibitors are associated with HIV-lipodystrophy. Saquinavir is a protease inhibitor.All NRTIs are associated with lactic acidosis. Stavudine can also cause lipoatrophy (maximum among NRTIs).Insulin can also result in lipodystrophy.